Eugene Bleuler's four 'A' of schizophrenia are all except-
1. Autism
2. Affect
3. Anhedonia
4. Association

Correct answer: 3. Anhedonia